Most common presentation of Anterior wall cervical fibroid:
1. Abdominal lump
2. Urinary Frequency
3. Per vaginal bleeding
4. Constipation

Correct answer: 2. Urinary Frequency

Explanation: Anterior wall cervical fibroid can cause compression of bladder or bladder neck causing urinary symptoms like urinary frequency or retention Cervical fibroid is Rare ( 1- 2 % ) in the supravaginal part of the cervix May be interstitial or subperitoneal variety and rarely polypoidal Depending upon the position it may be anterior, posterior , lateral or central interstitial growths Management Vaginal polypectomy or myomectomy Myomectomy Lap myomectomy MRI guided myolysis Vaginal hysterectomy Total abdominal hysterectomy Please note that although posterior cervical fibroids are associated more commonly with retention of urine than anterior cervical fibroids, but anterior fibroids can be associated with urgency, frequency and retention also due to their position. Urinary symptoms in anterior cervical fibroids are in fact their most common presentation.